A child is suffering from recurrent chronic infections with encapsulated bacteria; Which subclass of IgG does the child has deficiency?
1. IgG1
2. IgG2
3. IgG3
4. IgG4

Correct answer: 2. IgG2

Explanation: IgG2 and IgA deficiency leads to increased risk of infections with encapsulated bacteria.